The flap technique procedure which does not increase the width of attached gingiva:
1. Apically positioned flap
2. Undisplaced flap
3. Fenestration operation
4. Free gingival graft

Correct answer: 2. Undisplaced flap